Which of the following is the most common type of head and neck cancer
1. Squamous cell carcinoma
2. Adenocarcinoma
3. Adenoid cystic carcinoma
4. Melanoma

Correct answer: 1. Squamous cell carcinoma

Explanation: Head and neck cancers include cancers of the mouth and the throat, as well as some rarer cancers. These include cancer of the sinuses (air spaces in the bones of the face), the salivary glands, or the nose or middle ear. Mouth cancer can develop on the lip, the front two-thirds of the tongue, or anywhere inside the mouth. The most common places are the side of the tongue or floor of the mouth. Throat cancer can develop in different areas. The term throat cancer covers the area called the pharynx and the larynx (voicebox). The pharynx is divided into three main parts; the nasopharynx, the oropharynx and the hypopharynx. The larynx is in front of the hypopharynx. Cancers of the thyroid, oesophagus (gullet) or wind pipe (trachea), near to the throat, are treated differently. Most head and neck cancers start in the cells that line the mouth, nose and throat. These are called squamous cell cancers. A small number of head and neck cancers develop from other types of cells.